Epinephrine is most closely related in structure to:
1. Niacin
2. Tyrosine
3. Methionine
4. Glycerol

Correct answer: 2. Tyrosine